Passavant ridge -
1. Superior constrictor and palatopharyngeus
2. Inferior constrictor and palatopharyngeus
3. Superior constrictor and palatoglossus
4. Inferior constrictor and palatoglossus

Correct answer: 1. Superior constrictor and palatopharyngeus

Explanation: Ans. is 'a' i.e., Superior constrictor and palatopharyngeus (Ref Clinical Anatomy: A Problem Solving Approach,2nd/e By Neeta V, Kulkarni p. 432]Passavant ridgeo Near the superior margin of pharynx, a few fibres of superior constrictor blend with a band of muscle fibres belonging to the palatopharyngeus muscle.o These fused fibres form a band or ring around the posterior wall and sidewalls of the nasopharyngeal isthumus.o When the soft palate is elevated this muscle band appears as a ridge is known as passavanfs ridge.